The reproductive method by which fungi asexually produce rectangular spores by fragmentation of hyphae is known as-
1. Chlamydospore
2. Blastospore
3. Conidiophore
4. Arthrospore

Correct answer: 4. Arthrospore

Explanation: Arthrospores Fungi asexually produce rectangular spores Produced by fragmentation of hypha. Eg.Coccidioides.